The prime cause of death from pancreatic pseudocyst is:
1. Pressure on the aorta
2. Abscess
3. Rupture and hemorrhage
4. Embolism

Correct answer: 3. Rupture and hemorrhage

Explanation: Rupture and hemorrhage are the prime causes of death in pancreatic pseudocyst. A triad : 1. increase in the size of the mass, a localized bruit over the mass, and decrease in hemoglobin level should alert one to the possibility of hemorrhage from a pseudocyst. Reference: Harrisons Principles of Internal Medicine, 18th Edition, Page 2642